Kaplan meier methods is used for
1. Survival
2. Prevalance
3. Incidence
4. Frequency

Correct answer: 1. Survival

Explanation: The Kaplan-Meier estimator, also known as the product limit estimator, is a non-parametric statistic used to estimate the survival function from lifetime data. In medical research, it is often used to measure the fraction of patients living for a certain amount of time after treatment.